Arthus reaction is what type of hypersensitivity reaction
1. Localized immune complex
2. Ag- Ab reaction
3. Complement mediated
4. Ab mediated

Correct answer: 1. Localized immune complex

Explanation: Arthus reaction Localized area of tissue necrosis resulting from acute immune complex vasculitis, usually elicited in the skin. "SHARP" S- Serum sickness, Schick test, SLE H- HS pneumonitis (Farmers lung), HSP A- Arthus reaction R- Reactive arthritis, RA, Raji assay P - PAN, PSGN